55-year-old male with a recurrent episode of fall, rigidity and autonomic insufficiency -
1. Railey day syndrome
2. Shy-dragger syndrome
3. Basal ganglionic lesion
4. Parkinsonism

Correct answer: 2. Shy-dragger syndrome